Osteoblasts produce -
1. Collagen
2. Calcium
3. Pyrophosphate
4. Monosodium urate

Correct answer: 1. Collagen

Explanation: Osteoblast-Derived Proteins
Type 1 collagen
Cell adhesion proteins 
     osteopontin, fibronectin, thrombospondin
Calcium-binding proteins
     Osteonectin, bone sialoprotein
Proteins involved in mineralization
    Osteocalcin 
Enzymes
    Collagenase, alkaline phosphatase
Growth factors
   IGF-1, TGF-β, PDGF
Cytokines
   Prostaglandins, IL-1, IL-6, RANKL
Proteins Concentrated from Serum
β2-microglobulin
Albumin